A 28 year old male complains of glare in both eyes. The cornea shows whorl like opacities of the epithelium. He also gave a history of long term treatment with amiodarone. The most likely diagnosis is -
1. Terrain's marginal degeneration
2. Cornea verticillata
3. Band shaped keratophathy
4. Arcus Juvenalis

Correct answer: 2. Cornea verticillata

Explanation: This is whorl like opacities in the corneal epithelium seen in patients on long term treatment with medication such as amiodarone, chloroquine,phenothiazine and indomethacin.it is also seen in patients with Fabrys disease.The condition is generally asymptomatic, harmless and revesible on stopping the drug . REF:Parsons' Disease of the eye,20th edition,pg no.206.